Conglomerate nodules are found in?
1. Pulmonary lymphangioleiomyomatosis
2. Round pneumonia
3. Silicosis
4. Hypersensitivity pneumonitis

Correct answer: 3. Silicosis

Explanation: Conglomerate shadows are seen in silicosis. On continued dust exposure, the nodules increase in size and number ultimately covering most parts of the lungs. With coalescence of the nodules, the upper lobes become fibrotic and contract making the conglomerate nodules to migrate towards the hilar areas. CXR findings in Silicosis:- Snow storm appearance of lung fields. Hilar lymphadenopathy Crazy paving pattern on HRCT. Egg-shell calcifications of the lymph nodes is strongly suggestive of silicosis. Nodular opacities can enlarge and coalesce forming conglomerate shadows. Progressive massive fibrosis